Hepatotoxic drugs are
1. Chloroform
2. Halothane
3. Both are above
4. None

Correct answer: 3. Both are above

Explanation: Refer KDT 6/e p372 Massive liver necrosis following Halothane anaesthesia is seen in some cases If chloroform cos given for long period liver damage occurs